The vector for Dengue fever is -
1. Culex fatigans
2. Anopheles culcifacies
3. Aedes aegypti
4. Aedes africanus

Correct answer: 3. Aedes aegypti

Explanation: Aedes aegypti is the vector of dengue fever. This mosquito is also called as tiger mosquito as a result of striped character. Dengue fever characterized by chills and high fever, intense headache, muscle or joint pain which prevent all movements. other features are weakness, anorexia, constipation, altered taste sensation, colicky pain, and abdominal tenderness, dragging pain in the inguinal region, sore throat, and depression. Culex fatigans transmit Bancroftian filariasis. Anopheles culcifacies transmit malaria. Park's Textbook of Preventive and Social Medicine, 25th edition, Page No. 829